Which of the following antibody is highly specific for celiac disease:
1. Anti-gliadin antibodies
2. IgA antibodies to tissue transglutaminase
3. Anti-endomysial antibody
4. All of the above

Correct answer: 3. Anti-endomysial antibody

Explanation: Ans. C: Anti-endomysial antibody